After his bath but before getting dressed, a 4-year-old boy was playing with his puppy. The boy's penis was bitten by the puppy, and the deep dorsal vein was injured. The damaged vein is:
1. Lies superficial to Buck fascia
2. Drains into the prostatic venous plexus
3. Lies lateral to the dorsal artery of the penis
4. Is found in the corpus spongiosum

Correct answer: 2. Drains into the prostatic venous plexus

Explanation: The Deep Dorsal Vein of the penis lies medial to the Dorsal Artery of the penis on the dorsum of the penis. It lies deep to Buck's fascia, drains into the prostatic plexus of veins, and is compressed against the underlying deep fascia of the penis during erection.